Citelli's angle is -
1. Solid angle
2. CP angle
3. Sinodural angle
4. Part of Mac Evans triangle

Correct answer: 3. Sinodural angle